On stopping Alcohol, all the following changes are reversible EXCEPT -
1. Hepatitis
2. Cirrhosis
3. Microvesicular fatty change
4. Macrovesicular fatty change

Correct answer: 2. Cirrhosis

Explanation: Ans. (b) Cirrhosis(Ref: Robbins 9th/pg 842-844)Alcoholic Cirrhosis is the final & irreversible form of alcoholic liver disease which usually evolves slowly and insidiously but may develop in 1 or 2 years in some cases of alcoholic liver disease.Microvesicular & Macrovesicular fatty change is completely reversible if there is abstention from further intake of alcohol.